Which of the following is a negative stain
1. Fontana
2. ZN stain
3. Nigrosin
4. Albert stain

Correct answer: 3. Nigrosin

Explanation: Negative stain is a technique in which background is stained leaving the actual specimen untouched.and this visible. In contrast with positive staining.the actual specimen is trained..nigeosin and indian ink are negative stains